Which of the following is not seronegative spondyloarthropathy?
1. Reiter's arthritis
2. Ankylosing spondylitis
3. Psorialic arthritis
4. Rheumatoid arthritis

Correct answer: 4. Rheumatoid arthritis

Explanation: Seronegative spondyloarthroparthies are group of disorders with involvement of sacroiliac joint and associated with HLA-B27.
Rheumatoid arthritis doesn't belong to this group.